One of the following condition is not associated with clubbing :
1. Primary biliary cirrhosis
2. Chronic bronchitis
3. Cryptogenic fibrosing alveolitis
4. Central bronchiectasis

Correct answer: 2. Chronic bronchitis

Explanation: Answer is B (Chronic bronchitis): Chronic bronchitis does not cause clubbing Some causes of finger clubbing Respiratory Cardiovascular Bronchial carcinoma, especially epidermoid (squamous cell) type (major cause) Cyanotic heart disease Chronic suppurative lung disese Subacute infective endocarditis Bronchiectasis Lung abscess Miscellaneous Empyema Congenital -- no disease Cirrhosis Pulmonary fibrosis (e.g. cryptogenic fibrosing alveolitis) Inflammatory bowel disease Pleural and mediastinal tumours (e.g. mesothelioma) Primary billiary cirrhosis Crvptogenic organizing pneumonia